Main aim for treatment of TB ?
1. Prevention of complication
2. Prevention of disease transmission
3. Complete clinical cure
4. Complete bacteriological cure

Correct answer: 4. Complete bacteriological cure

Explanation: Ans. is 'd' i.e., Complete bacteriological cure Chemotherapy is indicated in every case of active tuberculosis. The objective of treatment is cure-that is, the elimination of both the fast and slowly multiplying bacilli from the patient's body. The effects of chemotherapy are judged not by the anatomic healing of lesions, but maily by the elimination of bacilli from the patient's sputum.